Treatment of choice for transverse cell carcinoma in renal pelvis is
1. Partial nephrectomy
2. Total nephrectomy
3. Radical nephrectomy
4. Radical nephroureterectomy

Correct answer: 4. Radical nephroureterectomy

Explanation: Upper tract transitional cell carcinoma Accounts for 5-10% of urothelial carcinomas . Often presents late with advanced disease In the absence of metastatic disease, standard treatment is nephroureterectomy ref : Bailey and Love 27th ed , chapter 76 , pg no 1421